Which is the false statements regarding propofol?
1. It causes pain on injection
2. It is ideal in bronchial asthma
3. It causes more hypotension than thiopentone
4. It is contraindicated in malignant hyperthermia

Correct answer: 4. It is contraindicated in malignant hyperthermia

Explanation: Propofol is agent of choice in patients with malignant hyperthermic gene. all intravenous agents are safe in Malignant hyperthermia all inhalational unsafe in malignant hyperthermia succinyl choline is not used in malignant hyperthermia nondepolarizing safe in Malignant hyperthermia